Which of the following is the most specific test for Rheumatoid arthritis:
1. Anti-CCP antibody
2. Anti Igm antibody
3. Anti IgA antibody
4. Anti IgG antibody

Correct answer: 1. Anti-CCP antibody

Explanation: RF and anti-CCP antibodies, may be found in sera from patients many years before clinical disease can be detected